Antitubercular drug causing gout is:-
1. Streptomycin
2. Ethambutol
3. Rifampicin
4. Pyrazinamide

Correct answer: 4. Pyrazinamide

Explanation: Pyrazinamide causes hyperuricemia and thus predisposes to gout. IMPORTANT POINTS ABOUT FIRST LINE ATT: Associated with hyperuricemia Pyrazinamide Associated with peripheral neuropathy Isoniazid Associated with psychosis Isoniazid Associated with transient memory loss Isoniazid Orange discolouration of urine Rifampicin Contact lens staining Rifampicin Retrobulbar neuritis Ethambutol Safest in renal failure Rifampicin Least toxic Rifampicin Not cidal Ethambutol Contraindicated in pregnancy Streptomycin Best for rapidly growing bacteria (in wall of cavities) Isoniazid Maximum CSF penetration Isoniazid Minimum CSF penetration Streptomycin Maximum sterilizing action Pyrazinamide Best for intracullar bacteria Pyrazinamide Best for bacteria in casseous necrosis (spuers) Rifampicin Only for extracellular bacteria Streptomycin